False regarding Chorda tympani nerve
1. Passes through the petrotympatic fissure
2. Contains motor nerves that supplies facial muscle
3. Contains secretomotor nerves that supplies salivary gland
4. Contains sensory neurons that supplies anterior 2/3rds of tongue

Correct answer: 2. Contains motor nerves that supplies facial muscle

Explanation: The chorda tympani is a slender branch of facial nerve.It contains secretomotor fibres to submandibular and sublingual glands and special visceral afferent fibres that carry taste sensations from anterior 2/3 of tongue.The chorda tympani nerve arises from the facial nerve in the facial canal about 6mm above the stylomastoid foramen, enters the middle ear through the posterior canaliculus and emerges at the base of skull through medial end of petrotmpanic fissure.Reference: Textbook of anatomy, Head neck, and brain, Vishram Singh, 2nd edition, page no.141